Coracoid process is a kind of epiphysis -
1. Atavistic
2. Pressure
3. Traction
4. Aberrant

Correct answer: 1. Atavistic

Explanation: Atavistic epiphysis

Phylogenetically an independent bone, which in man becomes fused to another bone
Examples:

Coracoid process of the scapula Posterior tubercle of talus Os trigonum
TYPES OF EPIPHYSES:
1. Pressure epiphysis 

Articular and takes part in weight transmission
Examples: Head of femur Condyles of tibia Lower end of radius

2. Traction epiphysis

Non articular and does not take part in weight transmission
Provide attachment to a tendon which exerts traction
Examples: Trochanter of femur Tubercles of humerus Mastoid process

3. Atavistic epiphysis

Phylogenetically an independent bone, which in man becomes fused to another bone 
Examples:Coracoid process of the scapula Posterior tubercle of talus Os trigonum

4. Aberrant epiphysis Not always present

Examples: Head of 1 st metacarpal Base of other metacarpals